Not a characteristic feature of meningioma
1. Calcification
2. Dural tail sign
3. Mother in law sign
4. Intra axial tumor

Correct answer: 4. Intra axial tumor

Explanation: Meningioma is extra axial tumor.